Ototoxicty and nephrotoxicity are the adverse effects of:-
1. Vancomycin
2. Azithromycin
3. Clindamycin
4. Penicillin

Correct answer: 1. Vancomycin

Explanation: Drugs associated with ototoxicity as well as nephrotoxicity Vancomycin Aminoglycosides Cisplatin